Antipsychotic drug with the longest elimination half life is:
1. Aripiprazole
2. Loxapine
3. Quetiapine
4. Ziprasidone

Correct answer: 1. Aripiprazole